Ethylene oxide can he used for sterilization of:
1. Plastic syringe
2. Catheter
3. Cannula
4. All of the above

Correct answer: 4. All of the above

Explanation: Ans. D i.e. All of the above Ethylene oxide (E0): It is an alkylating agent. It acts by alkylating sulfydryl-, amino-, carboxyl- and hydroxyl- groups. It is a cyclic molecule, which is a colorless liquid at room temperature. It has a sweet ethereal odor, readily polymerizes and is flammable. It is a highly effective chemisterilant, capable of killing spores rapidly. Since it is highly flammable, it is usually combined with CO2 (10% CO2+ 90% EO) or dichlorodifluoromethane. It requires presence of humidity. It has good penetration and is well absorbed by porous material. It is used to sterilize heat labile articles such as bedding, textiles, rubber, plastics, syringes, disposable petri dishes, complex apparatus like heart-lung machine, respiratory and dental equipments. Efficiency testing is done using Bacillus subtilis var niger. It is highly toxic, irritating to eyes, skin, highly flammable, mutagenic and carcinogenic.